Lurching Gait is due to paralysis of which of the following?
1. Gluteus medius
2. Hamstrings
3. Quadriceps femoris
4. Adductor Magnus

Correct answer: 1. Gluteus medius

Explanation: Gluteus medius REF: Gray's anatomy, 39th edition, page 1450Also check APPENDIX-3 for list of "Gait abnormalities" CLINICAL TESTING OF GLUTEUS MEDIUS AND MINIMUS:"Sufferers from unilateral paralysis of gluteus medius and minimus have a characteristic lurching gait".Hip girdle muscles are responsible for keeping the pelvis level when walking. Weakness on one side will lead to a drop in the pelvis on the contralateral side of the pelvis while walking (Trendelenburg sign, lurching gait). With bilateral weakness there will be dropping of the pelvis on both sides during walking leading to waddling. This gait is seen in patient with bilateral superior gluteal nerve injury and myopathies, such as muscular dystrophy.Positive Trendelenburg's sign due to Injury to Superior Gluteal Nerve:The Trendelenburg's sign is said to be positive if, when standing on one leg, the pelvis drops on the side opposite to the stance leg. The weakness is present on the side of the stance leg. The body is not able to maintain the center of gravity on the side of the stance leg. Normally, the body shifts the weight to the stance leg, allowing the shift of the center of gravity and consequently stabilizing or balancing the body. However, in unilateral superior gluteal nerve injury, when the patient lifts the opposing leg, the shift is not created and the patient cannot maintain balance leading to instability (Lurching gait). Bilateral superior gluteal nerve injury results in a waddling gait.NOTE: Not to be confused with Trendelenburg's sign. The Trendelenburg Test or BrodieTrendelenburg test is a test which can be carried out as part of a physical examination to determine the competency of the valves in the superficial and deep veins of the legs in patients with varicose veins.